A 70 year old patient presented with history of fever, repeated aspiration and coughing in the night. On examination there is a swelling on left side of neck which produces gurgling sound on compression. Following is the barium swallow study of the patient. What is the most likely diagnosis?
1. Zenkers diverticulum
2. Laryngocoele
3. Plummer vinson syndrome
4. Dysphagia Lusoria

Correct answer: 1. Zenkers diverticulum

Explanation: Zenker's Diverticulum -patient present with intermittent dysphagia, regurgitation of food and foul smelling breath later on progressive dysphagia progressive. Laryngocele is an air-filled cystic swelling due to dilatation of saccule it is a diverticulum of mucous membrane which starts from the anterior part of ventricular cavity and extends upward between vestibular folds and lamina of thyroid cartilage ,abnormally enlarges to forms the air containing sac - Laryngocele.